Septic shock is due to
1. Protein
2. Lipopolysaccharide
3. Teichoic acid
4. Peptidoglycan

Correct answer: 2. Lipopolysaccharide

Explanation: Ans. is 'b' i.e., Lipopolysaccharide Septic shock is due to endotoxin of gram negative bacteria. Therefore it is also called as endotoxic shock. Endotoxin is lipopolysaccharide.